The goals of therapy for type 1 or type 2 diabetes mellitus are all except
1. Eliminate symptoms related to hyperglycemia
2. Reduce or eliminate the long-term microvascular and macrovascular complications of DM
3. Allow the patient to achieve as normal a lifestyle as possible
4. Restore the function of Beta cells

Correct answer: 4. Restore the function of Beta cells

Explanation: The goals of therapy for type 1 or type 2 diabetes mellitus (DM) are toEliminate symptoms related to hyperglycemia, Reduce or eliminate the long-term microvascular and macrovascular complications of DM,Allow the patient to achieve as normal a lifestyle as possible.Ref: Harrison 19e pg: 2406